EB virus belongs to which group :
1. Retrovirus
2. Herpes virus
3. RNA virus
4. Pox virus

Correct answer: 2. Herpes virus